Which analgesic is not used in Acute myocardial infarction -
1. Morphine
2. Pentazocine
3. Pethidine
4. Buprenorphine

Correct answer: 2. Pentazocine

Explanation: Ans. is 'b' i.e., Pentazocine Its use is associated with tachycardia & rise in BP is due to sympathetic stimulation. This increases cardiac work and hence is better avoided in coronary ischemia and myocardial infarction. Note - Petnidine also causes tachycardia (anticholinergic action) --> contraindicated in MI.